Treatment for young woman with prolapsed uterus is -
1. Sling operation
2. Anterior colporrhaphy
3. Posterior colporrhaphy
4. Manchester operation

Correct answer: 1. Sling operation

Explanation: Ans. is 'a' i.e., Sling operation